A 50-year-old male presents with severe refractory hypertension, weakness, muscle cramps and hypokalemia, the most likely diagnosis is:
1. Hypoaldosteronism
2. Hyperaldosteronism
3. Cushing syndrome
4. Pheochromocytoma

Correct answer: 2. Hyperaldosteronism

Explanation: Manifestation of Conn's Syndrome (Primary Hyperaldosteronism) Clinical Laboratory Muscle weakness and fatigue (due to hypokalemia) Hypertension without edema Polyuria and polydipsia Hypokalemia Metabolic alkalosis Hypernatremia Increased Aldosterone Low renin